Bilateral choanal atresia can cause significant airway distress in newborn because of which of the following reasons?
1. Infants with choanal atresia usually have concomitant cardiac anomalies.
2. Infants are initially obligate nasal breathers.
3. The neonatal larynx is smaller and collapses easily.
4. Neonates have low oxygen reserves.

Correct answer: 2. Infants are initially obligate nasal breathers.

Explanation: - Since Infants are initially obligate nasal breathers- Bilateral choanal atresia can cause significant airway distress in newborn - With complete nasal airway obstruction in the newborn, cyanotic episodes are frequent and may be alleviated during crying, a phenomenon known as cyclical cyanosis.